Which structure is usually first repaired in hand injury?
1. Bone
2. Tendon
3. Nerve
4. Artery

Correct answer: 1. Bone

Explanation: Ans. is 'a' i.e., Bone * The usually order of repair of tissues in hand surgery is - bone, tendon muscle units, arteries, nerves and finally veins.* Note Reimplantation of the amputated digit: order of repair -# Locate and tag vessels and nerves# Repair arteries# Debride# Repair nerves# Shorten and fix bone# Repair Veins# Repair Extensor tendon# Skin coverage# Repair flexor tendon